Omalizumab True statement is?
1. Anti-IgE
2. Used as add on therapy in moderate to severe asthma prophylaxis
3. Givn subcutaneously
4. All o above

Correct answer: 4. All o above

Explanation: Ans. is 'd' i.e., All of above Anti-IgE (Omalizumab). Omalizumab is a humanized monoclonal antibody that binds IgE, thereby preventing its binding to the high-affinity IgE receptor and blocking IgE-mediated allergic responses and inflammation. approved for patients >12 yr old with moderate to severe asthma, It is given every 2-4 wk subcutaneously based on body weight and serum IgE levels. Its clinical efficacy as an "add-on" therapy for patients with moderate to severe allergic asthma It is generally well tolerated, although local injection site reactions can occur